Denominator of maternal mortality ratio is -
1. 1000 total births
2. Mid year population
3. 1000 live births
4. Total live births

Correct answer: 4. Total live births

Explanation: maternal mortality ratio = Total number of female deaths due to complications of pregnancy, child birth or within 42 days of delivery from puerpural causes in an area during a given year Divided by Total number of live births in the same area and year X 1000 or 100000 Reference Park's textbook of preventive and social medicine 23rd edition pg 557